Topical sodium cromoglycate is used in the treatment of –
1. Phlyctenular conjunctivitis
2. Vernal catarrh
3. Subconjunctival haemorrhage
4. Trachoma

Correct answer: 2. Vernal catarrh

Explanation: Mast cell stabilizers such as sodium chromoglycate drops are quite effective in controlling vernal keratoconjunctivitis.